Most common cause of scleritis -
1. Rheumatoid arthritis
2. SLE
3. Sjogren's Syndrome
4. Behcet's Disease

Correct answer: 1. Rheumatoid arthritis

Explanation: Ans. is 'a' i.e., Rheumato.id arthritis Scleritiso Scleritis is an uncommon disorder which is characterized by cellular infiltration, destruction of collagen and vascular remodelling. Scleritis is usually a bilateral disease and occurs most frequently in women. It is associated with connective tissue diseases in 50% of cases. Rheumatoid arthritis is the most common association . Other important causes are PAN, SLE, Ankylosing spondylitis, Wegener's granulomatosis, dermatomyositis, Reiter's syndrome, Non- specific arteritis, Polychondritis and Gout.Clinical features of Scleritiso Patients complain of moderate to severe pain which is deep and boring in character and often wakes thepatient early in the morning. Ocular pain radiates to the jaw and temple. It is associated with localised or diffuse redness, mild to severe photophobia and lacrimation. Occasionally there occurs diminution of vision.Complicationso Complications are common in necrotizing scleritis and include sclerosing keratitis, Keratolysis, Complicated cataract, Uveitis and secondary glaucoma. Rarely, scleritis may also cause retinal detachment and macular edema. These are due to spread of inflammation from sclera into the uveal tract.